Which of the following is detected in peripheral blood smear -a) Malariab) Toxoplasmac) Babesiad) Brucellae) Filaria
1. acd
2. bde
3. cde
4. abce

Correct answer: 4. abce

Explanation: Parasites detectable in blood smear

Plasmodium spp in RBCs
Toxoplasma- Tachyzoites
Filarial microfilaria
Trypanosoma spp.: Trypomastigotes
Leishmania amastigotes in macrophages
Babesia- in RBC